The outcome following resuscitation of cardiac arrest is worsened if during resuscitation patient is given:
1. Ringer's lactate
2. Colloids
3. 5% Dextrose
4. Whole blood transfusion

Correct answer: 3. 5% Dextrose

Explanation: C i.e. 5% Dextrose Glucose containing solutions should not be used in I.V. lines during treatment of shock or cardiac arrestQ because the amount needed to maintain B.P. would cause pulmonary edema and congestive heart failure d/t volume overload. In high risk patients, I.V. glucose solutions should be avoided Q or used judiciously and blood glucose concentration should be maintained within the normoglycemic range until the patients have passed the period of high risk for hemodynamic compromise.